Cardiac Output decreases in all of the following conditions, EXCEPT:
1. Sleep
2. Rapid arrhythmias
3. Sitting from supine
4. Heart disease

Correct answer: 1. Sleep

Explanation: EFFECT OF VARIOUS CONDITIONS ON CARDIAC OUTPUT Condition or Factor No change Sleep Moderate change in environmental temperature Increase Anxiety and excitement (50-100%) Eating (30%) Exercise (upto 700%) High environmental temperature Pregnancy Epinephrine Decrease Sitting or standing from lying position (20-30%) Rapid arrhythmias Heart disease Ref: Ganong's Review of physiology, 23rd Ed, Page 514